Snow blindness is caused by
1. UV rays
2. Infra red rays
3. Microwaves
4. Defect in mirrors

Correct answer: 1. UV rays

Explanation: In snowblindness the cause and symptoms are similar to photophthalmia, for the ultraviolet rays are reflected from snow surfaces. Snow blindness, also called arc eye or photokeratitis, is a painful eye condition caused by overexposure to ultraviolet (UV) light. When too much UV light hits the transparent outer layer of your eyes, called the cornea, it essentially gives your cornea a sunburn. Snow blindness symptoms can be disorienting. Ref-Parson's; 21st edition; Pg No. 214